A 15 year old child presents with falling school grades and development of abnormal posture. On examination dystonia and increase muscle tone is noted. Slit lamp examination shows presence of KF ring. Liver biopsy for copper will be stained by which of the following stain?
1. Perl stain
2. Rubeanic acid
3. Supravital stain
4. Schmorl's method

Correct answer: 2. Rubeanic acid

Explanation: Rubeanic acid and Rhodamine stains are utilized to detect the cytoplasmic accumulation of copper in the liver. Schmorl's method is used for detecting melanin and uses the reducing properties of melanin to stain granules blue-green. It is also used to detect lipofuscin.